Small pox vaccine was invented by:
1. Lious pauster
2. Jenner
3. John Snow
4. Eugene

Correct answer: 2. Jenner

Explanation: Jenner